Which of the following is yeast like fungi
1. Candida
2. Rhizopus
3. Cryptococcus neoformans
4. Trichophyton

Correct answer: 1. Candida

Explanation: Cryptococcus is a yeast. Rhizopus is a mould. Trichophyton is a dermatophyte which is a mould. Reference: Textbook of Microbiology; Baveja; 4th edition